After effective cardiopulmonary resuscitation there is:
1. Constriction of pupil
2. Dilation of pupil
3. Elevation of BP
4. None of the above

Correct answer: 1. Constriction of pupil